Ureteric constriction in the following sites EXCEPT
1. At the pelviureteric junction
2. Crosses the internal iliac artery
3. At bladder wall
4. At mesentery

Correct answer: 4. At mesentery

Explanation: (At mesentery) (301 - BDC - 2) (370 - Snell 7th)URETERS - The ureter enters the pelvis by crossing the bifurcation of the common iliac artery in front of the sacroiliac joint. Each ureter then runs down the lateral wall of the pelvis infront of the internal iliac artery to the region of the ischial spine and turns forward to enter the lateral angle of the bladder. Near its termination. It is crossed by the vas deferens. The ureter passes obliquely through the wall of the bladder for about 0.75 in (1.9cm) before opening into the bladder.Three Constrictions (Snell)BDC(i) Where the renal pelvis joins the ureter in the abdomen(ii) Where it is kinked as it crosses the pelvic brim to enter the pelvis(iii) Where it pierces the bladder wall(i) At the pelvi ureteric Junction(ii) At the brim of the lesser pelvis(iii) At its passage through the bladder wall.